All are false of Bruton’s Agammaglobulinemic except
1. It is X linked
2. T cell abnormality seen
3. Seen only in males
4. Increase in number of plasma cells

Correct answer: 1. It is X linked

Explanation: It is X linked
 
X-linked agammaglobulinemia is one of the more common forms of primary immunodeficiency. It is characterized by the failure of B-cell precursors (pro-B cells and pre-B cells) to develop into mature B cells. As an X-linked disease, this disorder is seen almost entirely in males, but sporadic cases have been described in females, possibly caused by mutations in some other gene that functions in the same pathway. The disease usually does not become apparent until about 6 months of age, as maternal immunoglobulins are depleted.
 
The classic form of this disease has the following characteristics:
 
B cells are absent or markedly decreased in the circulation, and the serum levels of all classes of immunoglobulins are depressed. Pre-B cells, which express the B-lineage marker CD19 but not membrane Ig, are found in normal numbers in the bone marrow.
 
Germinal centers of lymph nodes, Peyer's patches, the appendix, and tonsils are underdeveloped.
 
Plasma cells are absent throughout the body.
 
T cell–mediated reactions are normal.